Which one of the following is not true in the case of myotonic dystrophy ?
1. Cardiac defects
2. Cataract
3. Enlarged testis
4. Frontal baldness

Correct answer: 3. Enlarged testis